Which of the following is not required for wound healing
1. Zinc
2. Calcium
3. Copper
4. Vitamin C

Correct answer: 2. Calcium

Explanation: Nutritional status has profound effects on repair; protein deficiency, for example, and particularly vitamin C deficiency, inhibits collagen synthesis and retards healing zinc is a cofactor in collagenase so zn deficiency impairs wound healing ref robbins 9th ed page 106